Optic nerve fibres once cut, do not regenerate because they are not covered by:
1. Myelin sheath
2. Neurilemma
3. Both of the above
4. None of the above

Correct answer: 2. Neurilemma

Explanation: Ans. Neurilemma